Which of the following is not a criterion suggesting causality in non-communicable disease?
1. Strength of association
2. Dose response relationship
3. Specificity of association
4. Lack of temporal association

Correct answer: 4. Lack of temporal association

Explanation: Criteria for judging causality association of association of the association of association biological plausibility of the association. Ref: 25th edition, Park's Textbook of Preventive and Social Medicine, Page no. 97